Which one of the following statement is true about Dipivefrine?
1. It is not a prodrug
2. It causes vasodilation
3. It penetrates the cornea and gets converted to epinephrine
4. It increases intraocular pressure

Correct answer: 3. It penetrates the cornea and gets converted to epinephrine

Explanation: Dipivefrine penetrates the cornea and is then hydrolysed to epinephrine by esterase enzymes. It increases outflow of the aqueous humour and also reduces its formation (mediated by its action on a1 and a2 receptors), thus reducing pressure inside the eye. Ref Davidson 23rd edition pg 457